Retromammary abscess arises from-
1. Tuberculous rib
2. Infected hematoma
3. Chronic empyema
4. All of the above

Correct answer: 4. All of the above

Explanation: • It may an extension of Breast abscess, Empyema thoracis, Osteomyelitis of the ribs.
• No need to drain retromammary abscess, only conservative treatment.